Haemostasis depends upon all the following, EXCEPT
1. Calcium
2. Prothrombin
3. Vitamin B
4. Vitamin K

Correct answer: 3. Vitamin B